Pulmonary changes in lateral position in the anaesthetized patient?
1. Dependent lung is relatively over ventilated and over-perfused
2. Dependent lung is relatively over ventilated and under-perfused
3. Dependent lung is relatively under ventilated and over-perfused
4. Dependent lung is relatively under ventilated and under-perfused

Correct answer: 3. Dependent lung is relatively under ventilated and over-perfused

Explanation: In the anaesthetized patient : Dependent lung is relatively under-ventilated and over-perfused Non-dependent lung is over-ventilated and under-perfused. This leads to a generally well tolerated increase in ventilation-perfusion inequality but can cause hypoxaemia in compromised patients.